Which is true of trophozoites of E.histolytica -a)  Has eccentric Karyosomeb) Nuclear membrane with chromatinc) Shows erythrophagocytosisd) Presence of bacteria inside cell
1. bc
2. c
3. ac
4. ad

Correct answer: 1. bc

Explanation: The trophozoites of E. histolytica engulf red blood cells, bacteria, yeast and other debris. The presence of red blood cells in the cytoplasm (erythrophagocytosis) is diagnostic of E. histolytical as it is the only intestinal amoeba to exhibit this characteristic.
Nuclear membrane is lined with a single layer of uniformly distributed fine chromatin granules.


Karyosome is central in position (not eccentric).